Type of collagen present in cornea -
1. Type I
2. Type II
3. Type III
4. Type IV

Correct answer: 1. Type I

Explanation: Ans. is 'a' i.e., Type IType of collagenDistributionType IType IIType IIIType IVType VSkin, tendon, bone, corneaArticular cartilage, intervertebral disc. Vitreous humorFetal skin, cardiovascular systam, lung, reticular fiberBasement membranePlacenta, skin.